Id, ego, superego are terms coined by ?
1. Sigmand Freud
2. Bleuler
3. Moral
4. Kraepelin

Correct answer: 1. Sigmand Freud

Explanation: Ans. is 'a' i.e., Sigmoid freud IMPORTANT CONTRIBUTORS IN PSYCHIATRY Term Demence precoce Coined by Dementia precox Catatonia, cyclotymia Hebephrenia Schizophrenia Ambivalence Free association Psychoanalysis, Psychodynamics Id, ego, Superego Psychiatry Moral Emil Kraepelin Kahlbaum Hecker Eugen Bleuler Eugen Bleuler Sigmund Freud Sigmunnd Freud Sigmund Freud Johann christion Rei